A patient has Hb 6 gm% ,folic acid 8ng/ml, vitamin B12 60 pg/ml, serum iron 130 microg/dl, and MCV-104. The diagnosis is -
1. Iron deficiency anaemia
2. Vitamin Bl2 deficiency
3. Folic acid deficiency
4. Pyridoxine deficiency

Correct answer: 2. Vitamin Bl2 deficiency

Explanation: Normal range of vit B12 in serum is 280-1000pg/mL.. Values below 100pg/mL indicate clinically deficient stage.

Normal range of serum folate is 6-18ng/mL. Normal serum iron is 40-140 microgram/dL.In this case it is within normal limit.

Reference :Harsh mohan textbook of pathology sixth edition pg no 308.